Not a side effect of cimitidine is
1. Impotence
2. Gynaecomastia
3. Atrophic gastritis
4. Galactorrhea

Correct answer: 3. Atrophic gastritis

Explanation: Common side effects of Tagamet include: headache, dizziness, drowsiness, depression, agitation, breast swelling or tenderness (in men), joint or muscle pain, skin rash,